A person presented with recurrent swelling on face and lips due to emotional stress, cause is –
1. C1 esterase inhibitor deficiency
2. Allergy
3. Anaphylaxis
4. None of the above

Correct answer: 1. C1 esterase inhibitor deficiency

Explanation: Recurrent episodes of edema of face & lips after emotional stress suggest the diagnosis of Hereditary Angioneurotic Edema caused by C1 esterase inhibitor deficiency.